The following is true about malaria -
1. P. falciparum can cause relapse
2. P. vivax can be detected by HRP-2 Dipstick
3. P. vivax causes enlargement of affected RBC
4. LDH card test quantitates the falciparum parasitemia

Correct answer: 3. P. vivax causes enlargement of affected RBC

Explanation: Ans. is 'c' i.e., P. vivax causes enlargement of affected RBC Laboratory diagnosis of malariao A microscopic examination of a bloodfilm (stained peripheral blood smears) forms the most important diagnostic procedure.o Smears are stained with Romanowsky stains, which include:-# Geimsa (best)# Leishman s# Fields s# Wrights# JSB o Two types of blood smears are prepared.Thick smear - For quick detection of parasiteThin smear - For identification of the species.o Detection of histidine rich protein-2 (HRP-2) antigen is a sensitive and specific diagnositic test for P. falciparum.o This is an antibody based diagnostic, Stick or card testo This test remains positve for several weeks after acute infectiono AdvantageThis test is specially important in the diagnosis of severe malaria in pateints who have taken antimalarial drugs and cleared peripheral parasitemia. In these cases HRP-2 test remains strongly positive where as peripheral blood smears do not show any parasite (The test will remain positive because the antibodies still remain in circulation)o Another antibody based diagnostic stick or card test for P. falciparum.MethodProcedureAdvnatagesDisadvantagePJHRP2 dipstick or card testA drop of blood is placed on the stick or card, which is then iimersed in washing solutions. Monoclonal antibody captures the parasite antigen and reads out asa colored band.Robust and relatively inexpensive; rapid; sensitivity similar to or slightly lower than that of thick films (-0.001% parasitemia)Detects only plasmodium falciparum; reains positive for weeks after infection; does not quantitate P. falciparum parasitemia.Plasmodium LDH dipstick or card testA drop of blood is placed on the stick of card, which is then immersed in washing solutions. Monoclonal antibodies capture the parasite antigens and read out as colored bands. One band is genus specific (all malarias), and the other is specific for P. falciparum.Rapid, sensitivity similar to or slightly lower than that of thick films for P. falciparum (-0.001 % parasitemia)Slightly more difficult preparation than PfHRP2 tests, may miss low-level parsitemia with P. vivex,P. ovale, and P. malariae and does not speciate these organisms; does not quantitate P. falciparumo Falcipaurm and malariae do not cause enlargement of infected RBC whereas vivax and ovale cause infected RBC to enlarge.